LE cell phenomenon is seen in
1. Lymphocytes
2. Neutrophils
3. Monocytes
4. Eosinophil

Correct answer: 2. Neutrophils

Explanation: Ref Robbins 9/e p222 LE cell or hematoxylin body is a phagocytic leukocyte that has engulfed the denatured nucleus of an injured cell